Hemolytic disease of newborn is an example of -
1. Type III hypersensitivity
2. Type Il hypersensitivity
3. Arthus reaction
4. Type IV hypersensitivity

Correct answer: 2. Type Il hypersensitivity

Explanation: Ans. is 'b' i.e., Type 2 hypersensitivity